Fasciotomy- all of the following are cut except
1. Skin
2. Superficial fascia
3. Deep fascia
4. Muscles

Correct answer: 4. Muscles

Explanation: Answer- D. MusclesFasciotomy or fasciectomy is a surgical procedure where the fascia is cut to relieve tension or pressure commonly to treat the resulting loss of circulation to an area of tissue or muscle.Fasciotomy is a limb-saving procedure when used to treat acute compartment syndrome